7 year old boy chandu presents with reccurent, scaly, hypopigmented patch on face, diagnosis is –
1. Vitiligo
2. Indeterminate leprosy
3. pityriasis alba
4. Pityriasis rosea

Correct answer: 3. pityriasis alba

Explanation: Once again a child with scaly hypopigmented patch over face → Pityriasis alba.